The drug of choice for chemoprophylaxis for H.influenzae is
1. Rifampin
2. Ceftriaxone
3. Penicillin
4. Erythromycin

Correct answer: 1. Rifampin

Explanation: Oral rifampin is the drug of choice